Corpoporphyrin in urine is seen in which of the poisoning?
1. Copper
2. Lead
3. Arsenic
4. Mercury

Correct answer: 2. Lead

Explanation: Ans. (b) LeadRef Parikh 6/e, p 9.22